An 16 year old boy was brought in emergency with acute testicular pain, awakening him from sleep. On examination,the right testis is enlarged and tender. There is no history of any injury. what is the likely diagnosis?
1. Testicular vasculitis
2. Testicular torsion
3. Testicular neoplasm
4. Acute orchitis

Correct answer: 2. Testicular torsion

Explanation: The above case scenario is indicative of testicular torsion as there is presence of acute onset of testicular pain and no history of injury. There are two types of testicular torsion. Neonatal torsion Adult torsion occurs either in utero or shortly after birth not associated anatomic defect typically is seen in adolescence manifests with the sudden onset of testicular pain bell clapper abnormality Intense congestion, widespread hemorrhage, and areas of infarction are seen on biopsy of testis. If the testis is explored surgically and the cord is manually untwisted within approximately 6 hours, the testis willlikely remain viable. To prevent the catastrophic occurrence of torsion in the contralateral testis, the unaffected testis typically is surgically fixed within the scrotum (orchiopexy).